KISA% is associated with
1. Keratoconus
2. Keratoglobus
3. Hypermetropia with astigmatism
4. Terrien's marginal degeneration

Correct answer: 1. Keratoconus

Explanation: Answer- A. KeratoconusThe KISA index is used in cases ofkeratoconus and is derived using 4 indices:Central keratometry KInferior- Superior keratometry (I-S)Astigmatism Index (AST)